In Kwashiorkor, the letter 'K' is post-fixed to denote-
1. Weight for height
2. Skin changes
3. Edema
4. Muscle wasting

Correct answer: 3. Edema

Explanation: Ans. is 'c' i.e., Edema